All are antiemetics except -
1. Domperidone
2. Ondensetron
3. Phenazocine
4. Cyclizine

Correct answer: 3. Phenazocine

Explanation: Ans. is `c' i.e., Phenazocine Antiemetic drugs 1. Anticholinergics --> Hyoscine, Dicyclomine. 2. H, antihistaminics --> Promethazine, cyclizine, Cinnarizine, etc. 3. Neuroleptics (D2 blockers) -* Chlorpromazine, Haloperidol, Droperidole etc. 4. Prokinetics drugs --> Metoclopramide, Domperidone, cisapride, Mosapride, Tegaserod. 5. 5-HT3 antagonists --> Ondansetron, Granisetron. Adjuvant antiemetics --> Dexamethasone, BZDs, Cannabinoids, Clonidine & ephedrine.